Permanent kidney in humans arise from which of the following embryological structure?
1. Pronephros
2. Mesonephros
3. Metanephros
4. All of the above

Correct answer: 3. Metanephros

Explanation: In humans metanephros is responsible for the formation of the permanent kidney. The metanephros develop from two sources: ureteric bud from the mesonephric duct and the metanephrogenic cap from the intermediate cell mass of mesenchyme of the lower lumbar and sacral regions.The ureteric bud forms the ureter which dilates to form the pelvis of the ureter. The pelvis then branches to form the major calyces, minor calyces and collecting tubules.Metanephrogenic cap condenses around the ureter and forms the glomerular capsules, proximal and distal convoluted tubule and loop of Henle. Ref: Clinical Anatomy by Regions By Richard S. Snell page 267.